Systemic inflammatory response syndrome, false is
1. Hypoglycemia
2. Fever
3. Leukocytosis
4. Altered mental status

Correct answer: 1. Hypoglycemia

Explanation: Answer- A. HypoglycemiaIt is an inflammatory state affecting the whole bodn frequently a response of the immune system to infection, but not necessarily so.When two or more of these criteria are met with or without evidence of infection -Body temperature less than 36 c greater than 38 CHeart rate greater than 90 beats per minuteTachypneaWhite blood cell count less than 4000 cells/mm3HyperglycemiaAltered mental state